Which element of the following on disintegration leads to daughter element in gaseous form?
1. Radium
2. Iridium
3. Radon
4. Uranium

Correct answer: 1. Radium

Explanation: As radium decays or disintegrates, it forms Radon gas (earth’s only naturally produced radioactive gas),
which can enter homes, buildings, and wells and if not ventilated may cause Radiation sickness.